Chromosomal translocation in CML is
1. T(2,8)
2. T(9,22)
3. T(15,17)
4. T(8,14)

Correct answer: 2. T(9,22)

Explanation: Cytogenetic and molecular abnormalitiesType of malignancyCytogenetic and molecular abnormalities1.Acute promyelocytic leukemia (APML)2.B-cell ALL3.CML4.Follicular lymphoma5.Mantle cell lymphoma6.Burkitt lymphoma7.Myelodysplastic syndromet (15:17)t (2:8)t(9:22)t (14:18)t (11:14)t (2:8), t( 8:14), t (8:22)Monosomy 5& 7; del 5q , 7q &20q; Trisomy 8 (m/c is 5q-)(Ref: Robbins 8/e p608)